After overnight fasting, levels of glucose transporters reduced in
1. Brain cells
2. RBCs
3. Adipocytes
4. Hepatocytes

Correct answer: 3. Adipocytes

Explanation: GluT4 is the major glucose transporter in skeletal muscle and adipose tissue.GluT4 is under the control of insulin.In Type 2 diabetes mellitus, membrane GluT4 is reduced, leading to insulin resistance in muscles and fat cells.Ref: DM Vasudevan, 7th edition, page no: 107